Patient with cirrhosis is positive HBs Ag+ and has increased levels of alpha feto protein. What is the most probable diagnosis -
1. Submassive hepatic necrosis
2. Hepatocellular carcinoma
3. Massive hepatic necrosis
4. None of the above

Correct answer: 2. Hepatocellular carcinoma

Explanation: Ans. is 'b' i.e., Hepatocellular carcinoma o Cirrhosis, hepatitis B positive and alpha fetoprotein strongly suggests hepatocellular carcinoma.Factors Associated with an Increased Risk of Developing HCCCommonUnusualCirrhosis from any causePrimary- biliary cirrhosisHepatitis B or C chronic infectionHemochromatosisEthanol chronic consumptiona1 Antitrypsin deficiencyNASH'NAFLGlycogen storage diseasesAflatoxin B1 or other mycotoxinsCitrullinemiaProphyria cutanea tardaHerediatry tyrosinemiaWison's disease